The peri-orbital view is carried out for ?
1. Petrous apex
2. Mastoid process
3. Bilateral mastoid pathologies
4. Internal auditory meatus

Correct answer: 4. Internal auditory meatus

Explanation: Ans. is 'd' i.e., Internal auditory meatus The posteroanterior periorbital projection enables the best evaluation of the internal auditory canal in its full length.